All open into middle meatus except ?
1. Frontal sinus
2. Sphenoid sinus
3. Maxillary sinus
4. Ethmoidal sinus

Correct answer: 2. Sphenoid sinus

Explanation: Ans. is 'b' i.e., Sphenoid sinus Part of lateral nasal wallOpeningsInferiorNasolacrimal ductMiddleFrontal sinus, Maxillary sinus, Anterior ethmoidal sinusSuperiorPosterior ethmoidal sinusSphenoethmoidal recessSphenoid sinus